When should you perform Widal test in a case of Typhoid?
1. 1st week
2. 2nd week
3. 3rd week
4. 4th week

Correct answer: 2. 2nd week

Explanation: Lab diagnosis for typhoid B - Blood culture - 1st week A - Agglutination Test - 2nd week S - Stool culture - 3rd week U - Urine culture - 4th week Widal test Highly sensitive but poorly specific Also biological false positive in - Infectious mono nucleosis Malaria SLE For Widal paired testing should be done